Pulmonary embolism is most commonly produced by which of the following
1. Trauma
2. Atherosclerosis
3. Thrombosis of pelvic vessels
4. None

Correct answer: 3. Thrombosis of pelvic vessels

Explanation: When venous thrombi are dislodged from their site of formation,they embolize to the pulmonary arterial circulation producing pulmonary embolism.About one-half of patients with pelvic vein thrombosis develop pulmonary embolism.Other causes of pulmonary embolism include hip/knee surgery,trauma,pregnancy,immobility,thrombotic disorders. Reference:Harrison's medicine-18th edition,page no:2171;Davidson's medicine,22nd edition,page no:721.